Which drug is not effective against H. pylori:
1. Colloidal Bismuth
2. Metronidazole
3. Amoxicillin
4. Erythromycin

Correct answer: 4. Erythromycin

Explanation: Answer is D (Erythromycin): The most successful are the Triple and Quadruple multi-drug regimens: Name Drug 1 Drug 2 Drug 3 Drug 4 OCA Omeprazole (20 mg BD) Clarithromycin (500 mg BD) Amoxicillin (1g BD) OCM Omeprazole (20 mg BD) Clarithromycin (500 mg BD) Metronidazole (500 mg BD) OBTM Omeprazole (20 mg BD) Bismuth Subsalicylate (2 tabs QID) Tetracycline (500 mg Q1D) Metronidazole